Picket fence temperature seen in
1. Otic hydrocephalus
2. Lateral sinus thrombosis
3. Extradural abscess
4. Meningitis

Correct answer: 2. Lateral sinus thrombosis

Explanation: (Lateral sinus thrombosis): (95-Dhingra E.N.T. 5th edition)Picket-Fence type of fever - is a feature of the Lateral sinus thrombosis, due to septicaemia often coinciding with release of septic emboli into blood stream. Fever is irregular having one or more peaks a day. It is usually accompanied by chills and rigors. Profuse sweating follows fall of temperature* Clinical picture resembles malaria but lakes regularity* In between the bouts of fever, patient is alert with a sense of well being. Patient receiving antibiotics may not show the picture* Griesinger's sign - is due to thrombosis of mastoid emissary vein. Oedema appears over the posterior part of mastoid is another important sign of lateral sinus thrombosis